A 23-year-old African-American man with a history since early childhood of severe anemia requiring many transfusions has non healing leg ulcers and recurrent periods of abdominal and chest pain. These signs and symptoms are most likely to be associated with which of the following laboratory abnormalities?
1. Decreased erythropoietin
2. Increased erythrocyte osmotic fragility
3. Decreased erythropoiesis
4. Sickle cells on peripheral blood smear

Correct answer: 4. Sickle cells on peripheral blood smear

Explanation: #NAME?